Best in primary prevention of tuberculosis and leprosy
1. Health education
2. Early diagnosis and treatment
3. Isolation
4. Chemotherapy

Correct answer: 1. Health education

Explanation: No preventive campaign is complete without health education Health education aims at helping people develop attitude and behaviour by their own actions and efforts and seeking professional help when needed Health education should be directed towards patient and his family for better patient compliance with the drug regimen and to reduce high dropout rates and the general public to remove superstition and wrong belief and the social stigma associated with the disease Ref : Park's Textbook of Preventive and Social Medicine; 23rd edition; Page no 328